Inhalational anesthetic with highest respiratory irritation is
1. Sevoflurane
2. Halothane
3. Nitrous Oxide
4. Desflurane

Correct answer: 4. Desflurane

Explanation: * Desflurane, a fluorinated inhalational anesthetic agent - is highly irritant on the tracheobronchial tree - making it unsuitable for use as the primary anesthetic for induction of anesthesia. * Among the fluorinated inhalational anaesthetics, Desflurane and Isoflurane are respiratory irritants; Sevoflurane is devoid of tracheobronchial irritation.Ref:- Goodman & Gilman Pharmacological Basis of Therapeutics 13th Ed; Pg num:- 395